Phelps sign is seen in :
1. Glomus jugulare
2. Vestibular shwanoma
3. Menniers disease
4. Neurofibromatosis

Correct answer: 1. Glomus jugulare

Explanation: Ans. is 'a' ie Glomus jugulare " The absence of the normal crest of bone between the carotid canal and jugular fossa on lateral tomography is virtually diagnostic of a glomus jugulare tumor. This is k/a Phelps' sign." - Scott-Brown, 5/e